Which of these are true of E. coli -a) The L.T (labile toxin) in ETEC acts via cAMPb) In types causing UTI the organism attaches via pilic) The ST (stable-toxin) of ETEC is responsible for causing hemolytic-uremic syndrome (HUS)d) EIEC invasiveness is under plasmid controle) In EPEC the toxin helps in invasion by the bacteria
1. abd
2. bcd
3. abc
4. ab

Correct answer: 1. abd